HLA testing aids in the diagnosis of which ocular affection:
1. Conjunctivitis
2. Uveitis
3. Retinitis
4. Viteous hemorrhage

Correct answer: 2. Uveitis

Explanation: Ans. B: Uveitis Conditions associated with uveitis in which HLA testing is employed: Ankylosing spondylitis is a type of arthritis that mainly affects the spine. This can cause recurrent arthritis. It is mostly associated with HLA B27 Reiter's syndrome is an inflammatory arthritis common in young men - often caused by chlamydia infection. It is mostly associated with HLA B27 Other diseases associated with specific HLA antigens: Vogt-Koyanagi-Harada syndrome is an inflammatory condition that involves the eyes and meninges (coverings of the brain). The condition is most common in Asians and American Indians. It often causes uveitis in both eyes and retinal detachments, and can result in serious vision loss and blindness. Behcet's disease is a rare, chronic inflammatory disease. The cause of Behcet's disease is unknown. If often begins when individuals are in their 20s or 30s, although it can happen at any age. Uveitis is very common with people suffering from Behcet's, which can cause acute uveitis that happens soon after onset of Behcet's disease.